Differences between fluconazole and ketoconazole are
1. Duration of action
2. Absorption dependency on gastric acidity
3. Adverse effects
4. All the above

Correct answer: 4. All the above

Explanation: Both are anti fungal drugs used to treat fungal diseases.Fluconazole is preferred to ketoconazole as it is long acting with less adverse effects.Flucanazole has wider spectrum,good oral absorption,less protein binding,less sideeffects compared to ketoconazole which has many drug interactions. Ref: KD Tripathi 8th ed.